A child come with fever, cold, cough, membrane over tonsils; nasal swab is taken, culture should be done on which medium for earliest diagnosis ?
1. Loffelers serum slop
2. L. J. media
3. MC Conkey's Agar
4. Citrate media

Correct answer: 1. Loffelers serum slop

Explanation: Ans. is 'a' i.e., Loffelers serum slop Diphtheria bacilli grow on Loeffler's serum slope very rapidly and colonies can be seen in 6-8 hours, long before other bacteria grow.